In TNM staging, N= ?
1. Nature of tumor
2. Number of tumors
3. Number of lymph nodes
4. Metastasis

Correct answer: 3. Number of lymph nodes

Explanation: Ans. (c) Number of lymph nodes